Pseudotumor cerebri is seen in
1. Obese women in the age group 20-40 yrs
2. Obese males 20-40 yrs.
3. Thin females 50-60 yrs.
4. Thin males 50-60 yrs.

Correct answer: 1. Obese women in the age group 20-40 yrs

Explanation: * Pseudotumour cerebri(idiopathic intracranial hypertension) usually occur in obese young women . Ref Harrison20th edition pg 2456